A comatose patient shows Doll's eye phenomenon during neurological examination. It is also known as:
1. Vasovagal reflex
2. Oculocephalic reflex
3. Automatic reflex
4. Vital reflex

Correct answer: 2. Oculocephalic reflex

Explanation: An oculocephalic reflex (doll's eye phenomenon) is performed by rapidly rotating the head from side to side and observing the patient's eye positional changes. The normal response in the comatose patient with intact brain stem is for the eyes to remain fixed on the same point in space. Thus when the head is turned rightward, the eyes move to the left. When the head is turned leftward, the eyes move conjugately to the right. If a comatose patient does not have normal doll's eyes, a disruption of brain stem ocular and vestibular connections may be present. Ref: Rosenga A.J., Novakovic R.L., Frank J.I. (2005). Chapter 67. Coma, Persistent Vegetative State, and Brain Death. In J.B. Hall, G.A. Schmidt, L.D. Wood (Eds), Principles of Critical Care, 3e.